Intraorbital calcification in a patient with proptosis is observed in all except:
1. Retinoblastoma
2. Orbital varix
3. Hydatid cyst
4. Pseudotumour

Correct answer: 4. Pseudotumour

Explanation: Ans. Pseudotumour